Methylation of cytosine resiclues results in ?
1. Point mutation
2. Decreased expression of gene
3. Increased expression of gene
4. Aneuploidy

Correct answer: 2. Decreased expression of gene

Explanation: Methylation makes the DNA mute.